Which is wrong regarding entonox?
1. Is used for labor analgesia
2. Is a mixture of nitrous Oxide and oxygen in the ratio of 50: 50
3. Pin index is 7
4. Can be used for anesthesia

Correct answer: 4. Can be used for anesthesia

Explanation: Entonox is used for analgesia not anesthesia. Entonox (Nitrous oxide and oxygen) is a colourless, odourless gas made up of half oxygen and half nitrous oxide. It's also known as laughing gas. It can take the edge off labour pain, rather than blocking it out